Natural radiation includes:
1. Radon
2. Cosmic rays
3. Terrestrial radiation
4. All of the above

Correct answer: 4. All of the above